All of the following is true about kevorkian sign except
1. Persist even after 3 years of death
2. Appear within minutes of death
3. Visualized using ophthalmoscope
4. Cattle tracking sign

Correct answer: 1. Persist even after 3 years of death

Explanation: Ans. A. Persist even after 3 years of deathExplanationsChanges in eyes (molecular death)Loss of corneal and pupillary reflexes.Shape of the pupils of both the side may differ.Opacity of the cornea: The cornea becomes permanently hazy after about 10-12 h of death due to decomposition.Tache noire: If the eyelids remain open for 3-4 h after death, there is formation of two yellow triangles (base on the limbus, apex at the lateral or medial canthus and sides are formed by the margins of the upper and lower eyelids) on the sclera at each side of the iris, which become brown and then black.Loss of intraocular tension: Intraocular tension falls rapidly after death. It becomes zero in 4-8 h from 10-22 mm Hg during life (Potential question zone).Changes in the retina: The blood in retinal vessels appears fragmented or segmented (cattle tracking or shunting) (option d) within seconds to minutes after death (option b), and persists for about an hour (Kevorkian sign).This occurs all over the body due to loss of blood pressure, but it can be seen only in retina by an ophthalmoscope (option c).